All except one leads to delayed puberty
1. Kallman syndrome
2. McCune-Albright syndrome
3. Turners syndrome
4. Addison disease

Correct answer: 2. McCune-Albright syndrome

Explanation: Mc Cune - Albright syndrome is characterised by precocious puberty.